All are causes of dynamic intestinal obstruction except
1. Gall stones
2. Intussusception
3. Mesentric vascular occlusion
4. Bands

Correct answer: 3. Mesentric vascular occlusion